True about corynebacterium diphtheriae:
1. All types produce toxin
2. Toxin production is dependent upon critical concentration of iron
3. Heat stable toxin
4. Inhibit cAMP

Correct answer: 2. Toxin production is dependent upon critical concentration of iron

Explanation: Ans. is. 'b' i. e. Toxin production is dependent upon critical concentration of iron